An investigator observes that five independent risk factors influence the occurance of a disease. Which of the following statistical tests should be applied to assess the relationship between these 5 risk factors and the occurance of disease?
1. ANOVA
2. Multiple Linear Regression
3. Multiple Logistic Regression
4. One way analysis of Variance

Correct answer: 3. Multiple Logistic Regression

Explanation: A multiple logistic regression model is used to study the effects of multiple predictor variables (e.g. risk factors and treatments) on categorical outcomes and the outcome is normally binary, such as the presence or absence of disease. Logistic models are regularly applied when studying the relationships between risk factors and the occurrence of disease in epidemiological studies. Ref: Topics in Biostatistics, By Walter T. Ambrosius, 2007 Humana Press Inc. Page 273, 274; Medical Statistics at a Glance, By Aviva Petrie & Caroline Sabin, Third Edition, Page 84; Medical Statistics from A-Z: A Guide for Clinicians and Medical Students, By Brian Everitt, Second Edition, Page 10